Stratum lucidum is present between which two layers?
1. Corneum and granulosum
2. Granulosum and spinosum
3. Spinous and basale
4. Basal and subbasale

Correct answer: 1. Corneum and granulosum

Explanation: Ans. (a) Corneum and granulosumRef: Rooks 8th ed ch:3